The sympathetic supply of the fallopian tube and ovary is from
1. T6 - T8
2. T8 - T10
3. T10 - T12
4. L2 - L4

Correct answer: 3. T10 - T12

Explanation: The nerve supply to ovaries runs the suspensory ligament of the ovary with the vasculature, to enter the ovary at the hilum.The ovaries receive sympathetic and parasympathetic nerve fibres from the ovarian and uterine (pelvic) plexuses, respectively. The ovarian plexus, derived from the renal, aortic and hypogastric plexuses, accompanies the ovarian artery. It contains both sympathetic and parasympathetic nerves. Sympathetic nerves (T10, T11) are afferent for pain as well as efferent or vasomotor. Parasympathetic nerves (S2, 53, 54) are vasodilators . The uterine tubes are supplied by both the sympathetic and parasympathetic nerves running along the uterine and ovarian arteries.The sympathetic neraes from T10 to L2 segments are derived from the hypogastric plexuses. They contain both visceral afferent and efferent fibres. The latter are vasomotor and perhaps stimulate tubal peristalsis. However, peristalsis is mainly under hormonal control.Parasympathetic neraes are derived from the vagus for the lateral half of the tube and from the pelvic splanchnic nerves from 52, 53, 54 segments of spinal cord for the medial half. They inhibii peristalsis and produce vasodilatation ref - BDC 6e vol2 pg384,386